Which is not the action of TGF -
1. Anti -inflammatory
2. Proliferation of fibrous tissue
3. Anaphylaxis
4. Inhibition of metalloproteinases

Correct answer: 3. Anaphylaxis

Explanation: Transforming Growth factor beta:

Transforming growth factor-β(TGF-β) is the most important cytokine for the synthesis and deposition of connective tissue proteins.
It is produced by most of the cells in granulation tissue, including alternatively activated macrophages.
The levels of TGF-β in tissues are primarily regulated not by the transcription of the gene but by the post-transcriptional activation of latent TGF-β, the rate of secretion of the active molecule, and factors in the ECM, notably integrins, that enhance or diminish TGF-β activity.
TGF-β stimulates fibroblast migration and proliferation, increased synthesis of collagen and fibronectin, and decreased degradation of ECM due to inhibition of metalloproteinases.
TGF-β is involved not only in scar formation after injury' but also in the development of fibrosis in lung, liver, and kidneys that follows chronic inflammation.
TGF-β is also an anti-inflammatory cytokine that serves to limit and terminate inflammatory responses. It does this by inhibiting lymphocyte proliferation and the activity of other leukocytes.